In transaminases, PLP is covalently attached to which amino acid?
1. Glutamate
2. Lysine
3. Alanine
4. Threonine

Correct answer: 2. Lysine

Explanation: Transaminases:- Transfer amino groups in reactions Coenzyme required is Vitamin B6 i.e. active form PLP (Pyridoxal phosphate) The PLP is linked with a e-amino group of a lysine residue, at the active site of the enzyme forming a Schiff base (imine linkage) ping pong bi bi mechanism is involved in transamination reaction. NOTE: Threonine does not undergo transamination. All the amino acids undergo transamination except: Proline Lysine Threonine Hydroxyproline